Steroids are transported inside the cell using which mechanism-
1. Simple diffusion
2. Facilitated diffusion
3. Active transport
4. Osmosis

Correct answer: 1. Simple diffusion

Explanation: Ans. is 'a' i.e., Simple diffusion"Steroid hormones generally pass easily across a plasma membrane by simple diffusion as they are lipid soluble" .........Principle of medical physiology"Steroid hormones are rapidly transported across the cell membrane by simple diffusion" ........ Physiology Review